Which of the following drug is used curvently for the prophylaxis of non infectious uveitis in LUMINATE programme
1. Cyclosporine
2. Voclosporine
3. Methotrexate
4. lnfli xi mib

Correct answer: 2. Voclosporine

Explanation: B i.e. Voclosporine - LUMINATE (i.e. Lux Uveitis Multicentre Investigations of a New Approch Treatment) programme is a scientific drug trial (started in 2007 and completed in 2009) for uveitis. In this programme a pivotal study LUVENIQ (LX-211) assessed the safety and efficacy of oral form of next generation calcineurin inhibitor, Voclosporin for treatment of sight threatening non infectious uveitis (as a steroid sparing therapy). - LX - 212 Programme : In this a bioerodible polymer implant containing voclosporin is implanted, using minimally invasive approach; which release active ingradient slowly & steadily to the surface of eye. - LX - 214 Programme : In this topical formulation (eye drop) of nanomicelles of voclosporin (which in not normally soluble in aqueous media) is used for dry eye, atopic kerato conjunctivitis & blepharitis. LUMITECT Programme and LUCIDA/ LX-201 (i.e. Lux Corneal Transplant Implant Development & Advancement of Therapy) Study : In this silicon matrix ocular (episcleral)implant that steadily releases therapeutic dose of cyclosporine A is used for prevention of rejection of corneal transplant.